A female with 45X0 genotype has primary amenorrhoea. Most likely diagnosis is:
1. Gonadal Dysgenesis
2. Androgen Insensitivity syndrome
3. Meyer Rokitansky Kuster Houser Syndrome.
4. Congenital adrenal Hyperplasia

Correct answer: 1. Gonadal Dysgenesis

Explanation: The genotype XO belongs to the Turner's syndrome which is characteristic of gonadal dysgenesis, short stature and external and internal dysmorphic features. The gonadal dysgenesis leads to primary amenorrhea. Ref: Clinical Obstetrics and Gynaecology by Brian A. Magowan, Philip Owen, James Drife, Pages 52-53 Disorders of Sex Development By John M. Hutson, Garry L. Warne, Sonia Grover, Page 91.